Simple squamous epithelium is seen in
1. Blood vessels
2. Thyroid follicle
3. Esophagus
4. Hard palate

Correct answer: 1. Blood vessels

Explanation: Squamous epithelium lines theinside of the heart ,where it is called endothelium INDERBIR SINGH'S TEXT BOOK OF HUMAN HISTOLOGY-REFERENCE page no:41